Universal (standard) precautions to be observed by surgeons for the prevention of hospital acquire HIV infection include the following except-
1. Wearing gloves and other barrier precaution
2. Washing hands on contamination
3. Handling sharp instruments with care
4. Pre-operative screening of all patients of HIV

Correct answer: 4. Pre-operative screening of all patients of HIV

Explanation: Ans. is 'd' i.e., Pre-operative screening of all patient of HIV